Renal lesion in chronic use of lithium is
1. Acute tubular necrosis
2. Membranous glomerulopathy
3. Chronic interstitial nephritis
4. Crystal formation

Correct answer: 3. Chronic interstitial nephritis

Explanation: (C) Chronic interstitial nephritis # "Nephrogenic Diabetes Insipidus and Other Renal Adverse Effects> Polydipsia and polyuria are common but reversible concomitants of lithium treatment, occurring at therapeutic serum concentrations. The principal physiologic lesion involved is loss of responsiveness to antidiuretic hormone (nephrogenic diabetes insipidus). Lithium-induced diabetes insipidus is resistant to vasopressin but responds to amiloride.> Extensive literature has accumulated concerning other forms of renal dysfunction during long-term lithium therapy, including chronic interstitial nephritis and minimal-change glomerulopathy with nephrotic syndrome. Some instances of decreased glomerular filtration rate have been encountered but no instances of marked azotemia or renal failure.> Patients receiving lithium should avoid dehydration and the associated increased concentration of lithium in urine. Periodic tests of renal concentrating ability should be performed to detect changes."